Maximum damage to Napoleon’s army during his march to Moscow was done by
1. Diarrhea
2. Plague
3. Typhus
4. Typhoid

Correct answer: 3. Typhus